RNA dependent DNA polymerase is
1. DNA polymerase
2. RNA polymerase
3. Reverse transcriptase
4. Phosphokinase

Correct answer: 3. Reverse transcriptase

Explanation: Ans. is 'c' i.e., Reverse transcriptaseReverse transcriptase is an RNA dependent DNA polymerase that produces ds DNA from RNA template. It moves along the template in 3' 5' direction, synthesizing DNA is 5' -> 3' direction.It is seen in retro viruses (e.g. HIV).